A 30 year old lady presents to the outpatient department with an Erythematous butterfly rash on her checks. Which of the following antibodies should be assayed initially for her suspected condition -
1. Anti-Ds-DNA
2. Anti-Ro-Antibody
3. Anti-Centromere-Antibody
4. Anti-mitochondrial-Antibody

Correct answer: 1. Anti-Ds-DNA

Explanation: Anti-dsDNA antibodies are a group of anti-nuclear antibodies (ANA) and their target antigen is double stranded DNA. Blood tests such as enzyme-linked immunosorbent assay (ELISA) and immunofluorescence are routinely performed to detect anti-dsDNA antibodies in diagnostic laboratories. They are highly diagnostic of systemic lupus erythematosus (SLE) and are implicated in the pathogenesis of lupus nephritis.